Haemodialysis is not useful in
1. Digoxin
2. Methanol
3. Lithium
4. Salicylates

Correct answer: 1. Digoxin

Explanation: Dialysis is mainly done for poisoning due to: Methanol Lithium Aspirin Dabigatran Dialysis is not useful in: A- Amphetamines V: Verapamil O- Opioids, OPC I: Imipramine D- Digoxin Dialysis: Diazepam